Which of the following is not seen in Secondary Adrenal insufficiency?
1. Hyperpigmentation
2. Postural hypotension
3. Hypoglycemia
4. Lassitude

Correct answer: 1. Hyperpigmentation

Explanation: In Secondary adrenal insufficiency mineralocorticoid secretion is intact. It manifests more insidiously with lack of skin hyperpigmentation. Postural Hypotension is seen with gluco-corticoid deficiency due to blunting of effect of renin in absence or deficit of cortisol. In other words cortisol potentiates effect of renin. The levels of renin are normal. Fatigue, hyponatremia, and hypoglycemia are some of the clinical manifestations in secondary adrenal insufficiency. Secondary adrenal insufficiency associated with:- Low - Normal ACTH level Normal Renin level Normal Aldosterone level